Thiazide diuretics can be used for the treatment of all of these conditions except:
1. Idiopathic hypercalciurea with nephrocalcinosis
2. Hyperlipidemia
3. Congestive Heart Failure
4. Hypertension

Correct answer: 2. Hyperlipidemia

Explanation: Ans. (B) Hyperlipidemia(Ref: KK Sharma 2/e p230-231)Thiazides cause hyperlipidemia as adverse effect and thus cannot be used to treat this condition.Indications of thiazides:Diuretic UsesNon-diuretic UsesHypertension (First line drugs)Diabetes insipidusCongestive heart failureIdiopathic hypercalciurea with Nephrocalcinosis